The appropriate approach to a neonate presenting with vaginal bleeding on day 4 of life is –
1. Administration of vitamin K
2. Investigation for bleeding disordern
3. No specific therapy
4. Administration of 10 ml/kg of fresh frozen plasma over 4 hours

Correct answer: 3. No specific therapy

Explanation: Menstrual-like bleeding (vaginal bleeding) may occur from the third to seventh day of life.
This is attributed withdrawal of maternal hormones after birth.
The bleeding would subside after 2-3 days and no therapy is required.